Which of the following is true about giardia -
1. CFT is diagnostic
2. Trophozoites and cysts are seen in man
3. Lives in lower intestine
4. Invades normal mucosa

Correct answer: 2. Trophozoites and cysts are seen in man

Explanation: Life cycle The trophozoites of the parasite multiply in the intestine of man by binary fission.During unfavorable conditions in the duodenum,encystment occurs,usually in the colon.Infection of man occurs by ingestion of cysts in contaminated food and water.Infective dose is 10 to 100 cysts.Within 30 minutes of ingestion the cyst hatches out two trophozoites which then multiply and colonise in the duodenum.Due to high acidity of duodenum,Giardia often localize in the biliary tract (refer pgno:31 baveja 3 rd edition)